Osteochondroma arises from
1. Medullary cavity
2. Diaphysis
3. Metaphysis
4. Epiphysis

Correct answer: 3. Metaphysis